A patient after giving inhalational anaestheia developed fulminant hepatitis, patient was exposed to same drug previously. Which is the drug?
1. Halothane
2. N20
3. Enflurane
4. Isoflurane

Correct answer: 1. Halothane

Explanation: Ans. is 'a' i.e., Halothane Halothane It is a volatile liquid with sweet odour, nonirritating and noninflammable. It is a potent anaesthetic with poor analgesic and muscle relaxant properties. Halothane causes direct depression of myocardial contractility by reducing intracellular Ca+2. It causes fall in BP and CO. Heart rate decreases due to vagal stimulation. It tends to sensitize the heart to arrhythmogenic action of adrenaline --* contraindicated in pheochromocytoma. It causes greater depression of respiration and ventilation perfusion mismatch. It dilates the bronchi --> inhalation agent of choice in asthmatics (intravaneous anaesthetic of choice in asthmatics is ketamine). It is a hepatotoxic drug and can also cause malignant hyperthermia (Succinylcholine accentuate it). Recovery is smooth and reasonably quick. It causes postanaesthetic shivering and chills. It inhibits intestinal and uterine contractions --> agent of choice for assisting external or internal version during late pregnancy. Because its uterine relaxant action it is contraindicated during labour. It is particularly suitable for induction and maintenance in children and as maintenance anaesthetic in adults.